All are characteristics of Antemortem wound except-
1. Gaping of wound
2. Infiltration of tissue and increased Serotonin
3. Presence of vital reaction
4. Chicken fat clot

Correct answer: 4. Chicken fat clot

Explanation: Gaping of the wound, presence of vital reaction and increased serotonin are features of the antemortem wound.
The chicken fat clot is seen in postmortem wound.